Infection by which of the following agents leads to wart formation-
1. Herpes simplex virus
2. HPV
3. Molluscum contagiousum virus
4. Varicella zoster virus

Correct answer: 2. HPV

Explanation: Ans. is 'b' i.e., HPV o Human papilloma virus (HPV) is the causative agent of all type of warts.Type of wartSite of involvementHPV types1. Verruca vulgaris (common wart)Most common type wart On Hands and fingers2 (most common), 4, 272. Verruca Plana (Flat wart)Face, hands3, 103. Verruca plantaris (Palmoplantar warts)Palms & soles1,2,4, 57i) Superficial palmoplantar wart (Mosaic wart) 2 (most common)ii) Deep palmoplantar wart (Myrmecia wart) 1 (most common)4. Condyloma acuminata (anogenital wart)Genital, perianal, perineum,Most common - 6,11, (low risk)Other - 16, 18, 31, 33, 45 (High risk)5. Laryngeal papillomatosisLarynx, respiratory tract6, 116. Bowenoid papulosisGenitalia167. Epidermodysplasia verruciformisExtensive5, 8